Absence seizures are seen in?
1. Grand mal epilepsy
2. Myoclonic epilepsy
3. Petit mal epilepsy
4. Hyperkinetic child

Correct answer: 3. Petit mal epilepsy

Explanation: c. Petit mal epilepsy(Ref: Nelson's 20/e p 2831-2856, Ghai 8/e p 557-561)Absence seizures are sometimes referred to as petit mal seizures (from the French for "little illness").